All are true about temporal arteritis, Except:
1. Polymyalgia rheumatica
2. Anaemia
3. Low ESR
4. Sudden blindness is a complication

Correct answer: 3. Low ESR

Explanation: Ans. is 'c' Low ESR (Ref Harrison, 17/e, p 2126 & 16/e, p 2009 (15/e, p. 1963)).Temporal arteritis is characterized by high ESR.Temporal arteritisis also known as giant cell arteritis because microscopic features are dominated by granulomatous inflammation* and the presence of numerous giant cell*.Although temporal artery is most frequently involved*, patient also has systemic vasculitis of multiple medium and large sized arteries*.Clinical features and laboratory manifestation:The disease is characterized clinically by classic complex of:Fever*Anaemia*High ESR* andHeadache*in an elderly patient*In about 50% of patients polymyalgia rheumatica syndrome occurs which is characterized by stiffness, aching and pain in the muscles of the neck, shoulders, lower back hips and thigh.Patients with temporal artery have tender thickened* or nodular artery*.The most dreaded complication* of temporal arteritis is sudden blindness* which occurs due to ischaemic optic neuropathy.Scalp pain* and claudication of jaw* and tongue* is also seen in temporal arteritis.